Atropine can cause:
1. Decreased cardiac output
2. Heart block
3. Hypertension
4. Mydriasis

Correct answer: 4. Mydriasis

Explanation: Atropine is an anticholinergic drug. It causes increased heart rate.
Atropine causes mydriasis and decreased sweating.
No consistent or marked effect on BP, though hypotension may occur due to histamine-release and direct vasodilator action (at high dose); tachycardia and vasomotor centre stimulation tend to rise BP.